Which ca breast is B/L
1. Lobular
2. Paget's ds.
3. Medullary
4. None

Correct answer: 1. Lobular

Explanation: Ans. is 'a' ie. Lobular "LCIS (lobular Ca in situ) occurs bilaterally in 50 to 70% of cases, while DCIS occurs bilaterally in 10 to 20% of cases" - Schwartz"Invasive lobular Ca is frequently multifocal, multicentric and bilateral" - Schwartz